Severe disability in primary osteoarthritis of hip is best managed by -
1. Arthrodesis
2. Arthroplasty
3. Mc Murray's osteotomy
4. Intra-articular hydrocortisone and physiotherapy

Correct answer: 2. Arthroplasty

Explanation: IN SEVERE DISABILITY ARTHROPLASTY IS MODE OF MANAGEMENT REF : MAHESWARI 9TH ED